Renshaw cell inhibition is
1. Feedback facilitation
2. Feed forward inhibhition
3. Feed forward facilitation
4. Feedback inhibhifion

Correct answer: 4. Feedback inhibhifion

Explanation: Renshaw cells are inhibitory cells that transmit inhibitory signals.to the surrounding motor neurons.(Ref: Textbook of Medical physiology GUYTON and HALL page no.763)